Weber Fechner Law is:
1. Magnitude of stimulus strength perceived is approximately proportionate to the log of the intensity of stimulus strength
2. Magnitude of stimulus strength perceived is directly proportional to the intensity of stimulus strength
3. Threshold of receptor is directly proportional to stimulus strength
4. Threshold of receptor is inversely proportional to stimulus strength

Correct answer: 1. Magnitude of stimulus strength perceived is approximately proportionate to the log of the intensity of stimulus strength

Explanation: Magnitude of stimulus strength perceived is approximately proportionate to the log of the intensity of stimulus strength Weber - Fechner law It states that the magnitude of the sensation felt in proportionate to the log of intensity of the stimulus. Example - A person holding 30 grams weight in his hand can barely detect a I gm rise in weight (a rise than 1 gm would not be detectable). But when he holds 300 gm of weight. he can rarely detect a 10 gm increase in weight (a rise less than 10 gm would not be detectable to him. So a 300 gm wt. and (Say) 307 gm of weights would appear same to him.) This is expressed mathematically as Interpreted signal strength = Log x stimulus intensity + constant